AScoffs nodules are seen in
1. Sub acute bacterial endocarditis
2. Libman sacks endocarditis
3. Rheumatic carditis
4. Non bacterial thrombotuc endocarditis

Correct answer: 3. Rheumatic carditis

Explanation: Refer Harrison 17/2095 Robbins 9/e p558 Aschoff bodies are nodulesfound in the hearts of individuals with rheumatic fever. They result from inflammation in the heart muscle and are characteristic of rheumatic heart disease The cardiac manifestations of rheumatic fever are in the form of focal inflammatoryinvolvement of the interstitial tissue in all 3 layers of the heart, a pathological change named pancarditis. The pathognomonicfeature of pancarditis in the case of rheumatic heart disease is the presence of Aschoff nodules or Aschoff bodies